An adult is presenting with severe dandruff and greasy yellow scales on scalp. Diagnosis is –
1. Seborrheic dermatitis
2. Pityriasis rubra pilaris
3. Pityriasis rosea
4. Lichen planus

Correct answer: 1. Seborrheic dermatitis

Explanation: Following clues in this question suggest the diagnosis of seborrheic dermatitis.
i) Severe dandraff
ii)   Greasy yellow scales
iii) Scalp involvement